All of the following are used in diagnosis of HIV in a 2 month old child except:
1. HIV ELISA
2. p24 antigen assay
3. DNA PCR
4. Viral culture

Correct answer: 1. HIV ELISA

Explanation: Ans. A. HIV ELISAHIV ELISA cannot be used in diagnosis of HIV in a child up to 18 months of age.* This is because all neonates born to HIV infected mothers will have IgG antibody in their blood regardless of their infection status.* So up until 18 months of age they will continue to test positive. Hence HIV ELISA should not be used.